Pencil in cup deformity is seen in:
1. Rheumatoid arthritis
2. Ankylosing spondylitis
3. Gout
4. Psoriatic arthritis

Correct answer: 4. Psoriatic arthritis

Explanation: Pencil-in-cup deformity--psoriasis Asymmetric oligoarthritis is themost common presentationin psoriatic arthritis